Tabacco/Smoking is considered as risk factor but not cause of cardiovascular disease because?
1. No temporal association
2. Long latent period
3. Multifactorial causation
4. Less sensitivity

Correct answer: 3. Multifactorial causation

Explanation: Ans. is 'c' i.e., Multifactorial causationMost non-communicable chronic disease (e.g., cardiovascular diseases) are the result of multiple causes and rarely there is a simple one-to-one cause-effect relationship.In the absence of a known agent (i.e.- in multiple causes), the term "risk factor (s)" is used to describe certain factors which are involved in causation of the disease